Following are the brachytherapy techniques for carcinoma cervix except-
1. Paris technique
2. New York technique
3. Manchester technique
4. Stockholm technique

Correct answer: 2. New York technique

Explanation: Ans. B. New York techniqueThe Manchester system of cervical brachytherapy was one of the most commonly used methods of cervical brachytherapy, till the arrival of computer-based dosimetry.Before a look into the reason why this system was so popular we must look into the history of cervical brachytherapy and dosimetric systems as a wholeIn the Paris system of cervical brachytherapy, a single application of radium was specified.the system incorporated two cork colpostats in the form of a cylinder and an intrauterine tube.The Stockholm system of cervical brachytherapy was the predecessor of modern-day cervical brachytherapy dosimetric systems. In this system of fractionated course of radiotherapy was delivered and the total course of radiation therapy was delivered over a period of one month. Usually 2-3 applications were used, with each application lasting for a period of 20 to 30 hours.